Therapeutic index signifies?
1. Potency
2. Toxic dose
3. Safety
4. Efficacy

Correct answer: 3. Safety

Explanation: Ans. (c) SafetyRef KDT 7/e, p 54/55